What is the most common eye manifestation in Sturge-Weber syndrome?
1. Glaucoma
2. Keratitis
3. Uveitis
4. Retinitis pigmentosa

Correct answer: 1. Glaucoma

Explanation: Ans. A. GlaucomaGlaucoma is the most serious ocular manifestation in Sturge-Weber syndrome. 50% of patients develop glaucoma between infancy and later childhood. Symptoms may be large and cloudy eye, photophobia, and lacrimation. It is related to AC malformations, high episcleral venous pressure, and changes in ocular hemodynamics. Other ocular manifestations include vascular malformations of conjunctiva, episclera, choroid, and retina.